In an immediate postoperative hysterectomy, a patient develops leakage of urine. What is the most likely cause?
1. Urethral injury
2. Bladder injury
3. Overflow incontinence
4. Stress urinary incontinence

Correct answer: 2. Bladder injury

Explanation: Immediate postoperative leakage of urine develops due to drainage of the peritoneal collection of urine. Both bladder and ureteral defects can cause leakage of urine into the peritoneal cavity. Bladder injury is more common than ureteral injury with the incidence of 1%. The other presentation may be abdominal pain and ascites. Overflow incontinence is because of detrusor underactivity and is usually not a complication of hysterectomy Stress urinary incontinence is because of urethral hypermobility or intrinsic sphincter deficiency, the causes are usually insufficient to support from pelvic floor muscles and neuromuscular damage and hence is uncommon with hysterectomy